Hemolysis in G-6-P-D deficiency is precipitated by following, except:
1. Dapsone
2. Cotrimoxazole
3. Quinine
4. Penicillin

Correct answer: 4. Penicillin

Explanation: Penicillin